In the intraepthielial region of the mucosa of intestine the predominant cell population is that of
1. B cell
2. T cell
3. Plasma cells
4. Basopils

Correct answer: 2. T cell

Explanation: IEL are6 a distinctive population of T cells dispersed among the luminal epithelial cells. particularly in the small intestine there is a predominantly of CD8+T cells